Manifestations of epidemic Dropsy are all except -
1. Gastrointestinal bleed
2. Cutaneous hemangiomas
3. Breathlessness
4. CHF

Correct answer: 1. Gastrointestinal bleed

Explanation: Ans. is 'a' i.e., Gastrointestinal bleed "Epidemic Drupsy : There is an occurence of eryththematou.s matting & raised hemangiomas on the skin & mucous membranes"- National Health Programme of India by J.Kishore 7thIe p. 589. "Some patient may develop glaucoma.' - Park 20thie p. 571.